Root value of common peroneal nerve -
1. S1S2S3
2. L1L2L3
3. L4L5S1S2
4. S3-S5

Correct answer: 3. L4L5S1S2

Explanation: Ans. is 'c' i.e., L4L5S1S2 NerveRoot valveo Siatic nervey Tibial nervey Common peroneal nerveL-4,5 S1,2,3L-4.5 S1,2,3L-4,5 S1,2o Superior gluteal nerveL-4,5 S1o Inferior gluteal nerveL5S1,2o Nerve to quadratus femorisL-4,5 S1o Nerve to obturatus intemusL5S1,2o Superior gemellusL-4,5S1o Infeior gemellusL4,5 S1,2o Posterior cutaneous nerve of thighS1,2,3o Pudendal nerveS1, S3,S4o Perforating cutaneous nerveS2,3